All of the following are part of manning criteria except:
1. Nonstress test
2. Fetal body movement
3. Vibroacoustic movement
4. Fetal respiratory movement

Correct answer: 3. Vibroacoustic movement

Explanation: VIBROACOUSTIC STIMULATION In this, an artificial sound producing device is kept on the maternal abdomen which emits a sound for several seconds. If there is a non reassuring pattern during a cardiotocographic monitoring, then this test may help in providing fetal well being. The resultant startle reflex in the fetus and subsequent fetal heart rate acceleration following vibroacoustic stimulation provides assurance of fetal well-being. Mannings score/ Biophysical profile Non stress test Fetal breathing movements Fetal tone Gross body movement Amniotic fluid volume Modified Biophysical score Non stress test Amniotic fluid volume